True about suspended animation:
1. Common phenomenon
2. Can be voluntary
3. Similar to molecular death
4. None

Correct answer: 2. Can be voluntary

Explanation: Ans. Can be voluntary